True about social phobia is -a) Fear of closed spacesb) Irrational fear of situationc) Irrational fear of activitiesd) Irrational fear of specified objects
1. a
2. c
3. ac
4. bc

Correct answer: 4. bc

Explanation: Both option b & c are correct because in social phobia there is irrational fear of performing activities in a particular

situation (in the presence of other).
"A marked and persistent fear of one or more social or performance situations in which the person is exposed to unfamiliar people or to possible scrutiny by others". _________ Kaplan & Saddock's 
"In social phobia morbid fear is experienced in situations where the patient is likely to be observed or criticised by other". ________ Namboodiri
"Social phobia is characterized by fear of performing activities in the presence of other people or interacting with other".